Condition which presents as -nephritic syndrome with features of loss of foot processes on electron microscopy and poor response to corticosteroid therapy is:
1. Postinfectious glomerulonephritis
2. Membranoproliferative glomerulonephritis type I
3. Minimal change disease
4. Focal segmental glomerulonephritis

Correct answer: 4. Focal segmental glomerulonephritis

Explanation: Ans: D i.e. Focal segmental glomerulonephritis Glomerular pathology and presentation Postinfectious glomerulonephritis presents with nephritic syndrome and shows on subepithelial humps on electron microscopy Memranoproliferative glomerulonephritis type I present with nephritic/ nephrotic syndrome and shows su bend othelial deposits on electron microscopy Minimal change disease presents as nephrotic syndrome and shows loss of foot processes and no deposits on electron microscopy Focal segmental glomerulosclerosis presents as nephrotic syndrome; non nephrotic proteinuria and shows loss of foot processes and epithelial denudation on electron microscopy. It differs from minimal change disease in the fact that there is poor response to corticosteroid therapy.